Hypopigmentation, gray streaks of hair, degranulation defect of neutrophils and neuropathy are seen in
1. aleukemic Leukemia
2. chronic granulocytic leukemia
3. Lazy leukocyte syndrome
4. Chediak higashi syndrome

Correct answer: 4. Chediak higashi syndrome